Most common nerve injury associated with thyroid surgery
1. Right recurrent laryngeal
2. Left recurrent laryngeal
3. Right internal laryngeal
4. External branch of superior laryngeal nerve

Correct answer: 4. External branch of superior laryngeal nerve

Explanation: .The external branch of the superior laryngeal nerve (EBSLN) is at risk of injury during thyroid operations when dissection of the superior pole and ligation of the superior thyroid vessels (STV) are carried out. From that perspective, EBSLN injury poses a threat to handicap all patients undergoing thyroid operations. ref Robbins 9/e pg 345